Minor salivary glands are present in the submucosa through out the oral mucosa except for the
1. Gingiva and anterior part of hard palate
2. Tongue and soft palate
3. Retromolar area and hard palate
4. Lip and posterior third of the hard palate

Correct answer: 1. Gingiva and anterior part of hard palate